True about corynebacterium diptheria includes all of the following except :
1. Deep invasion is not seen
2. Elek’s test is done for toxigenicity
3. Metachromatic granules are seen
4. Toxigenicity is mediated by chromosomal change

Correct answer: 4. Toxigenicity is mediated by chromosomal change

Explanation: “Corynebacteriophage beta carries the structural gene (tox + ) encoding diptheria toxin and a family of closely related corynebacteriophage are responsible for toxigenic conversion of tox – C.diptheria to tox + phenotype.”

Elek’s gel precipitation test is in vitro test for toxin detection.